True statement regarding covalent bonds is :
1. Electrons have same spin
2. Electrons have opposite spin
3. They are weak bonds
4. None of the above

Correct answer: 2. Electrons have opposite spin

Explanation: B i.e. Electrons have opposite Spin